A 5 year old child has white pseudomernbraneous plaque or grey-white discharge on the surface of tonsils and history of low grade fever since 2 days. Culture shows growth of rod shaped bacilli, green in colour & bluish-purple granules. Which of the following is true for the above finding?
1. Bacilli appear in pair and have V and L pattern
2. Can rapidly grow on ordinary media
3. Can hydrolyse urea
4. Colonies are spider shaped

Correct answer: 1. Bacilli appear in pair and have V and L pattern